What vascular anomaly is most associated with severe tracheobronchial anomalies?
1. Right aortic arch, left subclavian
2. Double aortic arch
3. Pulmonary artery sling
4. All of the above

Correct answer: 3. Pulmonary artery sling